Fully humanized antibody that is used in the treatment of rheumatoid arthritis is–
1. Etanercept
2. Anakinra
3. Infliximab
4. Adalimumab

Correct answer: 4. Adalimumab

Explanation: Ref:   Katzung’s ‘Basic and Clinical Pharmacology’; 9/e,pg592
Adalimumab:

Adalimumabisarecombinanthumananti-TNFmonoclonalantibody.
This compound complexes with soluble TNF-α and prevents its interaction with p55 and p75 cell surface receptors.
This results in down-regulation of macrophage and T-cell function. Option (a): Etanercept–

Ref: Katzung’s ‘Basic and Clinical Pharmacology’; 9/e, pg 593

Etanerceptis are combin ant fusion protein consisting of two soluble TNF p75 receptor moieties linked to the Fc portion of human IgG1.
It binds TNF-α molecules and also inhibits lymphotoxin-α. Option (c): Infliximab–

Ref: Katzung’s ‘Basic and Clinical Pharmacology’; 9/e, pg 592

Infliximab is a chimeric (25% mouse, 75% human) monoclonal antibody that binds with high affinity to  soluble and poorly membrane-bound TNF-α.
Its mechanism of action is probably the same as that of adalimumab. Option (b): Anakinra–

Ref: K.D.Tripathi’s ‘Essentials of Medical Pharamacology’; 6/e, pg 205.

It is a recombinant human IL-1 receptorantagonist.
Though clinically less effective than TNF-α inhibitors, it has been used in cases who have failed on one or  more DMARDs.
Dose: 100 mg s.c.daily.